Eutectic mixture of local anaesthetic (EMLA) cream is
1. Bupivacaine 2.0 + Prilocaine 2.5%
2. Lidocaine 2.5%+Prilocaine 2.5%
3. Lidocaine 2.5% + Prilocaine 5%
4. Bupivacaifne 0.5% + Lidocaine 2.55

Correct answer: 2. Lidocaine 2.5%+Prilocaine 2.5%

Explanation: Eutectic mixture of local anaesthetic (EMLA)This is unique topical preparation which can anaesthetize the intact skinIt is a mixture of 2.5% lidocaine and 2.5 prilocaineIt acts slowly and the cream must head in contact with the skin for at least 1 hourEMLA is used: to make venepuncture painless especially for children, and for the procedure like skin grafting & circumcisionAs systemic absorption of prilocaine can cause methemoglobinemia, EMLA should not be used on the mucocutaneous membrane or in very small child.(Refer: Morgan and Mikhail's Clinical Anaesthesiology, 5th edition, pg no. 754, 856)